Erythematous cutaneous nodules may be caused by the following EXCEPT:
1. Bartonella
2. Acanthamoeba
3. HSV
4. Kaposi's sarcoma

Correct answer: 3. HSV

Explanation: Erythematous cutaneous nodules may present in: Atypical mycobacterial infections fungal infections Bartonella Acanthamoeba Kaposi Sarcoma HSV- 1 causes Herpes labialis. HSV- 2 causes Herpes genitalis.